All of the following are components of Horner's syndrome except -
1. Ptosis
2. Exophthalmos
3. Anhidrosis
4. Loss of cilio- spinal reflex

Correct answer: 2. Exophthalmos